The following are the signs and symptoms included in the syndromic approach of sexually transmitted disease except -
1. Genital ulcers
2. Urethal discharge in males
3. Dysuria in women
4. Vaginal discharge

Correct answer: 3. Dysuria in women

Explanation: Signs and symptoms included in the syndromic approach of STD : Urethral discharge in males Vaginal discharge Lower abdominal pain in females Genital ulcer Scrotal swelling Inguinal bubo Ref: PARK'S TEXTBOOK OF PREVENTIVE AND SOCIAL MEDICINE 23rd edition pg 333